Which of the following factors in bile juice is responsible for preventing the precipitation of cholesterol and formation of gallstones
1. High alkaline condition
2. High concentration of bicarbonates
3. Bile salts
4. Bile pigments

Correct answer: 3. Bile salts

Explanation: Bile salts (salts of cholic & chenodeoxycholic acids)form micelle which makes cholesterol soluble and prevents formation of gallstones